A 30-yrs old female,RBC count 4.5 million, MCV 55fl, TLC 8000, no history of blood transfusion?
1. Iron deficiency anemia
2. Thalessemia major
3. Thalessemia minor
4. Megaloblastic anemia

Correct answer: 3. Thalessemia minor